Most sensitive structure in cell for radiotherapy is –
1. Cell membrane
2. Mitochondrial membrane
3. DNA
4. Enzymes

Correct answer: 3. DNA

Explanation: Clinical target for radiation induced cell death is DNA